Pre-requisite for plaque formation
1. Pellicle
2. glycoprotein
3. mucopoly saccharide
4. dextran

Correct answer: 1. Pellicle